Most common malignancy arising in thyroglossal cyst is
1. Follicular
2. Papillary
3. Medullary
4. Anaplastic

Correct answer: 2. Papillary

Explanation: Thvroglossal Cyst Contains clear to cloudy fluid with sparse cellularity. Cystic background contains few if any epithelial cells. Some inflammatory cells and crystals might be present. Rarely malignant transformation occurs in about 1% of the cases. Most common malignancy arising is papillary carcinoma followed by squamous cell carcinoma.